Which of the following is example of Nominal variable
1. Temperature
2. Roll number
3. TNM staging
4. Mid arm circumference

Correct answer: 2. Roll number

Explanation: Roll number is an identity in the class ; Hence it is an example of nominal variable OTHER EXAMPLES NOMINAL VARIABLES ORDINAL VARIABLES METRIC ABO blood grouping Rh Types of anemia Sex - male/ female etc TNM staging of cancer Hypertension classification Severity of anemia Weight Height Hb Blood sugar levels Serum cholesterol levels BMI Pulse rate Kelvin temperatures